Maurer's dots are seen in infection with
1. Pl. malariae
2. Pl. vivax
3. Pl. ovale
4. Pl. falciparum

Correct answer: 4. Pl. falciparum

Explanation: REMEMBER the following; Plasmodium vivax - Schuffner's dots Plasmodium falciparum - Maurer's dots Plasmodium malariae - Ziemann's dots Plasmodium ovale - James's dots